A 64-year-old man is receiving chemotherapy for squamous cell cancer of the lung. He has now developed erythema, induration, thickening, and eventual peeling of the skin on the fingers, palms, and soles of his feet.For the above patient with an adverse reaction, select the most likely chemotherapeutic agent.
1. methotrexate
2. cytarabine
3. 5-fluorouracil (5-FU)
4. bleomycin

Correct answer: 4. bleomycin

Explanation: Although lung injury is the most serious complication of bleomycin, this unusual skin reaction is more frequent, occurring in almost 50% of patients.